True about the Serratus anterior muscle is
1. Originates from the lower four ribs
2. Bipennate muscle
3. Supplied by the subscapular nerve
4. Helps in forced inspiration

Correct answer: 4. Helps in forced inspiration

Explanation: Serratus anterior helps in vertical overhead abductionQ (assisted by trapezius), forward punchQ (assisted by pectoralis minor) & forced inspirationQ; it's paralysis leads to winging of scapulaQ